New Zealand type of school dental nurse can perform all of the following clinical duties except:
1. Prophylaxis
2. Pulp capping
3. Root canal treatment
4. Topical fluoride application

Correct answer: 3. Root canal treatment